A restorative material which has a high proportional limit, compared with one with a lower proportional limit would have:
1. Greater ductility
2. Greater toughness
3. A higher modulus of elasticity
4. More resistance to permanent deformation

Correct answer: 4. More resistance to permanent deformation

Explanation: Proportional limit—Magnitude of elastic stress above which plastic deformation occurs.
A restorative material which has a high proportional limit, compared with one with a lower proportional limit would have more resistance to permanent deformation.
Reference: PHILLIPS’ SCIENCE OF DENTAL MATERIALS, 12th ed page no 48